Aldosterone antagonists are not useful in the treatment of:
1. Hypertension.
2. Congestive heart failure.
3. Gynaecomastia.
4. Hirsutism.

Correct answer: 3. Gynaecomastia.

Explanation: Aldosterone antagonists cause gynecomastia as an adverse effect.